Maxillary sinus opens into?
1. Superior meatus of nose
2. Middle meatus of nose
3. Inferior meatus of nose
4. Hiatus semilunaris of middle meatus of nose

Correct answer: 4. Hiatus semilunaris of middle meatus of nose